Pulmonary plethora is seen in ?
1. TAPVC
2. TOF
3. EBSTIEN ANAMOLY
4. TRICUSPID ATRESIA

Correct answer: 1. TAPVC

Explanation: PLETHORA= INCREASED PULMONARY MARKINGS SEEN IN TAPVC, ASD,VSD, TGA REF : BRAUWALD CARDIOLOGY